A 24-year-old unmarried women has multiple nodular, cystic, pustular and comedonic lesions on face, upper back and shoulders for 2 years. The drug of choice for her treatment would be:
1. Acitretin
2. Isotretinoin
3. Doxycycline
4. Azithromycin

Correct answer: 2. Isotretinoin

Explanation: Ans. b. IsotretinoinIndicators of isotretinoinIsotretinoinTargets all pathogenic mechanisms of Acne IndicationsNodulocystic acne QSevere, refractory AcneAcne fulminansAcne conglobataContraindicationsWomen of reproductive age groupHypertriglyceridemiaDyslipidemiaDosage0.5-1 mg/kg/day up to a cumulative dose of 120- 150 mg/kgSevere nodulo cystic acneSevere acne variants like acne fulminans, pyoderma facialeFailure of conventional therapyModerate to severe acne frequently relapsingAcne severe enough to result in psychological distressInflammatory acne